All of the following drugs are associated with pure red cell aplasia except
1. Phenytoin
2. Azathioprine
3. Chloramphenicol
4. Ethambutol

Correct answer: 4. Ethambutol